The after coming head of the baby in a breech delivery can be arrested by all of the following except:
1. Extended head
2. Hydrocephalus
3. Placenta previa
4. Incomplete dilatation of the cervix

Correct answer: 3. Placenta previa

Explanation: If a whole baby can make its way from breech onwards till the head, then even if there is a placenta previa, it will not obstruct the fetal head to come though since there was no obstruction to the whole fetus.